Mechanism of steroid induced glaucoma is -
1. Narrowing of angle of anterior chamber
2. Neovascularization of Iris
3. Inhibition of PGE
4. Deposition of hemosiderine

Correct answer: 3. Inhibition of PGE

Explanation: Prostaglandin E and F are known to increase the aqueous outflow facility.corticosteroids can inhibit the synthesis of PGE and PGF leading to decrease in aqueous outflow facility and increase in IOP. Ref:Comprehensive ophthalmology-AK Khurana 6th edition chapter-10 page no:251